Column-A Column-B 1. Scaphocephaly a. Metopic 2. Brachycephaly b. Unicoronal 3. Trigonocephaly c. lambdoid 4. anterior plagiocephaly d. sagittal e. bicoronal
1. 1-E, 2-C, 3-D, 4-A
2. 1-A, 2-C, 3-D, 4-E
3. 1-A, 2-D, 2-C, 4-B
4. 1-D, 2-E, 3-A, 4-B

Correct answer: 4. 1-D, 2-E, 3-A, 4-B

Explanation: Synostosis Suture involved Skull configuration Scaphocephaly/dolicocephaly Sagittal Increase in AP diameter Decrease in biparietal diameter Trigonocephaly Metopic Triangular shaped head Hypertelorism Brachycephaly Bicoronal Decrease in AP diameter Incease in bitemporal diameter Hypertelorism Posterior brachcephaly Bilambdoid decrease in AP diameter increase in biparietal diameter Anterior plagiocephaly Unicoronal Ipsilateral flattening Unilateral 'Harlequin eye' Posterior plagiocephaly Unilambdoid Ipsilateral flattening Cloverleaf Multiple Trilobular